Aortic hiatus pierces diaphragm at what level?
1. T8
2. T10
3. T11
4. T12

Correct answer: 4. T12

Explanation: Ans. D T12Ref: BDC, 6th ed. vol. II pg. 333* Diaphragm has several openings for the passage of structures from thorax to abdomen.Main openings in the diaphragm and their levelsOpeningLevelStructure PassingAORTIC OPENING-Osseo aponeurotic opening (not a true opening)Str passing: "Remember ATA"T12* Aorta* Thoracic duct* Azygous veinESOPHAGEAL OPENING- lies in muscular part of diaphragmT10* Esophagus* Gastric or vagus nerve* Esophagheal branch of left gastric arteryVENA CAVAL OPENING- lies in central tendon of diaphragmT8* Inferior vena cava* Right phrenic nerve branchesExtra Mile* Only motor nerve to diaphragm- PHRENIC NERVE (C3, C4, C5)* It is the principle muscle of inspirationExtra MileStructures and level of piercing in diaphragm: (Mn: I ate, 10 Eggs, At 12)* IVC: T8* Esophagus: T10* Aorta: T12